Third part of duodenum is crossed by?
1. Portal vein
2. Hepatic artery
3. Bile duct
4. Superior mesenteric artery

Correct answer: 4. Superior mesenteric artery

Explanation: Ans. (d) Superior mesenteric arteryRef: Gray's Anatomy 40th ed. chapter 66